Mifepristone is a:
1. Progesterone antagonist
2. Oestrogen antagonist
3. Both
4. None

Correct answer: 1. Progesterone antagonist